Which of the following amyloid forms is seen in secondary amyloidosis associated with chronic diseases-
1. Amyloid Associated Protein
2. Amyloid light chain
3. Beta 2 Amyloid
4. ATTR

Correct answer: 1. Amyloid Associated Protein

Explanation: Reference :Robbins basic pathology 9th edition pg no 154: chronic disease ~chronic inflammation ~macrophage activation~IL1 and IL6 ~Liver cells~SAA protein~limited proteolysis ~AA protein